Refractive Index of cornea is about
1. 1.3
2. 1.33
3. 1.37
4. 1.42

Correct answer: 3. 1.37

Explanation: Refractive index of the cornea (1.37), Refractive index of the aqueous humour (1.33), Refractive index of the crystalline lens (1.42), and Refractive index of the vitreous humour (1.33) Ref:Khurana 4e pg: 26